Role of laparoscopy in the diagnosis and treatment of endometriosis, all are true EXCEPT?
1. Diagnosis of peritoneal endometriosis
2. Management of ovarian endometrioma
3. Differentiating chocolate cyst from hemorrhagic corpus luteal cyst
4. Staging of endometriosis

Correct answer: 3. Differentiating chocolate cyst from hemorrhagic corpus luteal cyst

Explanation: Role of laparoscopy in endometriosis To detect and diagnose pelvic endometriosis Locate site of endometriosis Staging To take biopsy Surgical treatment by ablation and removal A chocolate ovarian cyst looks similar to a hemorrhagic follicular cyst, corpus luteoma or even a hemorrhagic cystadenoma. Differentiating between these requires histopathological confirmation